Fraying at the ends of long bones is seen in:
1. Rickets
2. Scurvy
3. Osteogenesis imperfecta
4. Congenital syphilis

Correct answer: 1. Rickets

Explanation: Ans. Rickets